Ideal cholesterol level should be below
1. 300
2. 220
3. 200
4. 350

Correct answer: 3. 200